PAP smear is invented by :
1. John papanicolaou
2. George papanicolaou
3. Vladimir papanicolaou
4. Ben papanicolaou

Correct answer: 2. George papanicolaou

Explanation: Routine cytological screening or Pap smear should be offered to all women above the age of 21 years who are sexually active for at least 3 years.In all women with abnormal Pap tests showing mild dysplasias, it is important to treat any accompanying inflammatory pathology and repeat the Pap test. If it persists to be abnormal, colposcopic examination are to be considered. Shaw's Textbook o gynaecology 16th edition page 488